In isometric exercise, all are increased except
1. Heart rate
2. Cardiac output
3. Mean arterial pressure
4. Systemic vascular resistance

Correct answer: 4. Systemic vascular resistance

Explanation: In normal individuals the increase in blood pressure is mediated by a rise in cardiac output with little or no change in systemic vascular resistance. With the start of an isometric muscle contraction, the heart rate rises, probably as a result of psychic stimuli acting on the medulla oblongata. The increase is largely due to decreased vagal tone, although increased discharge of the cardiac sympathetic nerves plays some roleStroke volume remains almost the same, but given that heart rate increases cardiac output increases(CO/P=stroke volume*heart rate)Within a few seconds of the onset of an isometric muscle contraction, systolic and diastolic blood pressures rise sharply which increase Mean Arterial PressureRef: Ganong's Review of Medical Physiology Twenty-Third Edition Page No: 518